Cerebral malaria is caused by:
1. Plasmodium ovale
2. Plasmodium falciparum
3. Plasmodium vivax
4. Plasmodium malaria

Correct answer: 2. Plasmodium falciparum

Explanation: Plasmodium falciparum